Which of the following is an X-linked dominant condition presenting as hyperpigmented lesions along lines of Blaschko?
1. Incontinentia pigmenti
2. Hypomelanosis of Ito
3. LEOPARD syndrome
4. Pseudoxanthoma elasticum

Correct answer: 1. Incontinentia pigmenti

Explanation: X-linked dominant trait due to mutation in NEMO gene presents as 4 distinct clinical stage in girls. Stage 1: inflammatory macules, papules, vesicles and pustules Stage 2: hyperkeratotic and verrucous lesions Stage 3: grey-brown pigmentation Stage 4: atrophic, hypopigmented and depigmented bands Ref: Rook's textbook of dermatology, 8th edition, Pg 58.16.